Which of the following sources of cholesterol is most important for sustaining adrenal steroidogenesis when it occurs at a high rate for a long time
1. De novo synthesis of cholesterol from acetate
2. Cholesterol in LDL particles
3. Cholesterol in the plasma membrane
4. Cholesterol in lipid droplets within adrenal cortical cells

Correct answer: 2. Cholesterol in LDL particles

Explanation: Cholesterol esters in LDL are the most important source of cholesterol for sustaining adrenal steroidogenesis when it occurs at a high rate over a long time. This cholesterol can be used directly after release from LDL and not stored. De novo synthesis of cholesterol from acetate is a minor source of cholesterol in humans.Ref: Harper's Biochemistry; 30th edition